Which of the following is a minor criteria for diagnosis of Rheumatic fever (RP) according to modified Jones criteria –
1. ASO titre
2. Past history of Rheumatic fever
3. Fever
4. Subcutaneous nodules

Correct answer: 3. Fever

Explanation: Fever is a minor criteria